Which compound is not considered as a radiosensitizer?
1. Hyperbaric oxygen
2. Misonidazole
3. Amifostine
4. Idoxuridine

Correct answer: 3. Amifostine

Explanation: Ans. C. AmifostineMany thiol groups of compounds like amifostine are used to protect normal cells from the harmful side effects of radiation. The agent amifostine is used commonly in clinical practice to protect from toxicities of Chemoradiotherapy.